All are features of anxiety neurosis except
1. Dryness of mouth
2. Sweating
3. Palpitation
4. Abnormal gait

Correct answer: 4. Abnormal gait

Explanation: Physical symptoms of anxiety a) Motor symptoms - tremors, restlessness, muscle twitches and fearful facial expression b) Autonomic and visceral symptoms - palpitations, tachycardia, sweating, flushes, dyspnoea, hyperventilation, constriction in the chest, dry mouth, frequency and hesitation of micturition, dizziness, diarrhoea and mydriasis Psychological symptoms a) Cognitive symptoms- poor concentration, distractibility, hyperarousal, vigilance or scanning, negative automatic thoughts b) Perceptional symptoms- derealisation and depersonalization c) Affective symptoms-diffuse, unpleasant and vague sense of apprehension, fearfulness (Ref: a short textbook of psychiatry, Niraj Ahuja,7th edition, pg no 90)